PID is most commonly caused by -
1. Chlamydia
2. Mycoplasma
3. Tubercular bacillus
4. E.Coli

Correct answer: 1. Chlamydia

Explanation: Ans. is 'a' i.e., Chlamydia Sexually transmitted diseases are the most common cause of PIP.o Gonococcal & Chlamydial infections are the most common,o Mycoplasma hominis & genitalumo Tubercular bacilluso Viruseso E. colio Polymicrobial (both aerobe & anaerobs)